A 30-year-old G3P2 woman delivered a term baby and started bleeding after delivery. She was given in fluids but bleeding did not stop. The EMO advised blood transfusion. After how many blood trans! fusions should be given FFP:
1. 1
2. 2
3. 3
4. 4

Correct answer: 4. 4

Explanation: The most important initial resuscitating step of PPH is fluid management Till blood is not available this is done using colloids and crystalloids which replaces the fluid but worsens the existing coagulopathy Blood transfusion should be followed by fresh frozen plasma and platelets This is done after 4 units of blood transfusion The ratio of FFP: RBC : Platelets = 1:1:4. Ref: Fernando Arias 4e pg 395.